B19 usually causes a very mild disease. Two groups of people for whom it can be serious, however, are?
1. teenagers and pregnant women
2. pregnant women and sickle-cell anemics
3. the sexually promiscuous and drug addicts
4. alcoholics and asplenics

Correct answer: 2. pregnant women and sickle-cell anemics

Explanation: Primary infection in pregnant women is very serious and can result in death of the fetus. In patients with sickle-cell disease, the virus can initiate a transient aplastic crisis. Reference: Ananthanarayan and Paniker's Textbook of Microbiology Tenth edition